Which of the following is not a proinflammatory cytokine -
1. IL 10
2. IL 8
3. IL 11
4. TNF alpha

Correct answer: 1. IL 10

Explanation: Cytokines
Proinflammatory                                      Anti-inflammatory 
o Major:- IL-1,                                      o IL-4, IL-10, IL-13
TNF-alpha, IL-6
o Other:- IL-2, IL-4,
IL-5, IL-6, IL-8, IL-11,
IL-12, IL-15, IL-21,
IL-23, IFN- gamma, GM-CSF
o Here, you can consider IL-4 as pro-inflammatory cytokine ( as more than one options can be correct in PGIchandigarh).